An infant is evaluated for partial intestinal obstruction that has been present from birth. Esophagogastroduodenal endoscopic visualization fails to demonstrate an intraluminal lesion, but does show prominent narrowing at the level of the mid duodenum. CT studies demonstrate a mass lesion surrounding that portion of the duodenum. Which type of tissue is most likely present within the lesion?
1. Gastric
2. Hepatic
3. Pancreatic
4. Renal

Correct answer: 3. Pancreatic

Explanation: The lesion is an annular pancreas, which is a rare pancreatic malformation, in which the pancreatic head encircles the second part of the duodenum, potentially causing obstruction. An increase in thickness of the muscular part of the gastric wall can cause congenital pyloric stenosis. While the liver is near the first and second parts of the duodenum, there is no common developmental anomaly in which hepatic tissue would surround the duodenum. The kidneys are located retroperitoneally and relatively far lateral from the duodenum, and would not be expected to surround it. Ref: Molina P.E. (2013). Chapter 7. Endocrine Pancreas. In P.E. Molina (Ed),Endocrine Physiology, 4e.